Which of the following is not true for juvenile nasopharyngeal angiofibroma
1. Biopsy for diagnosis
2. Second decade
3. Surgical excision
4. Benign tumor

Correct answer: 1. Biopsy for diagnosis

Explanation: NASOPHARYNGEAL FIBROMA (JUVENILE NASOPHARYNGEAL ANGIOFIBROMA) PATHOLOGY :- Angiofibroma, as the name implies, is made up of vascular and fibrous tissues: the ratio of the two components may vary. Mostly, the vessels are just endothelium-lined spaces with no elastic or muscle coat. This accounts for the severe bleeding as the vessels lose the ability to contract; also the bleeding cannot be controlled by application of adrenaline. DIAGNOSIS:- It is mostly based on clinical picture. Biopsy of the tumour is attended with profuse bleeding and is, therefore, avoided. Ref:- Dhingra; pg num:-246,247